Albinism is due to:
1. Marked deficiency of melanin pigment
2. Thymus disorder
3. Tumour of pineal gland
4. ACTH deficiency

Correct answer: 1. Marked deficiency of melanin pigment

Explanation: deficiency of melanin pigment results in a marked deficiency of pigment in eyes, hair and skin Ref: guyton and hall textbook of medical physiology 12 edition page number: 550,551,552